Salvage pathway of purine nucleotide synthesis are used by all except ?
1. Brain
2. Liver
3. RBC
4. Leukocytes

Correct answer: 2. Liver

Explanation: Purine nucleotide synthesis occurs by two pathways :- 1.De novo synthesis 2.Salvage pathway Liver is the major site of purine nucleotide biosynthesis (de novo). Certain tissues cannot synthesize purine nucleotides by de novo patyway, e g. brain, erythrocytes and polymorphonuclear leukocytes. These are dependent on salvage pathway for synthesis of purine nucleotides by using exogenous purines, which are formed by degradation of purine nucleotides synthesized in liver.